True about occupational cancers -a) Seen even after exposure is stoppedb) Site for occurance common to occupationc) Usually not seen in younger personsd) Scrotal cancer is common in dye industry workers
1. ac
2. a
3. ad
4. ab

Correct answer: 4. ab